Most common site of perforation of tympanic membrane in acute suppurative otitis media is:
1. Anterior superior quadrant
2. Anterior inferior quadrant
3. Posterior superior quadrant
4. Posterior inferior quadrant

Correct answer: 2. Anterior inferior quadrant

Explanation: In acute suppurative otitis media, 85% of cases show a small perforation in antero-inferior quadrant of pars tensa. Perforations in this location were associated with smooth margins, good drainage of pus, and a favorable clinical course. Hence this area is termed as "perforation zone". Only 15% of perforations occurred in other locations, most typically the posterior-superior quadrant.